Killed vaccine is -
1. Hepatitis A
2. Measles
3. OPV
4. BCG

Correct answer: 1. Hepatitis A

Explanation: Ans. is 'a' i.e., Hepatitis A o Hepatitis A vaccines are of both typesFormaldehyde inactivated vaccines (killed vaccines)Live attenuated vaccineso All other options are live vaccines,Live'attenuated' vaccinesKilled 'inactivated' vaccinesBCGPertussisOPV (Sabin - Oral polio vaccine)IPV (Salk - Inactivated polio vaccine)Measles vaccineRabies vaccineMumps vaccineCholera vaccineRubella vaccineMeningococcal vaccineYellow fever vaccineHepatitis B vaccineTyphoralTyphim - Vi vaccineHepatitis - AHepatitis - A